Tennis Racquet cells are seen in
1. Rhabdomyosarcoma
2. Rhabdomyoma
3. histocytosis
4. Eosinophilic granuloma

Correct answer: 1. Rhabdomyosarcoma

Explanation: Refer Robbins page no 1001 Embryonal RMS, primarily a lesion of the head and neck region, especially the orbit, is a type of tumor usually occurs in youngsters and at the age of 10 years. This tumor is characterized by a mixture of round cells and cells with an eccentric nucleus, so called "tadpole" or tennis "racquet".